Pulsus paradoxus is seen in all except
1. IPPV
2. COPD
3. Cardiac tamponade
4. Constrictive pericarditis

Correct answer: 1. IPPV

Explanation: Ref Harrison 19 th ed pg 1573 t 288-2 Pulsus paradoxus is not a feature of IPPV. Pulsus paradoxus may be seen in association with cardiac tamponade, constrictive pericarditis and COPD